Sudden development of a severe throbbing headache signals a possible medical emergency is a characteristic side effect of which psychotropic medication?
1. Lithium carbonate
2. Phenelzine
3. Diazepam
4. Thioridazine

Correct answer: 2. Phenelzine

Explanation: Of all the antipsychotic medications, thioridazine is the only one with a strongly recommended dosage ceiling. Dosages exceeding 800 mg daily have been linked to the development of retinitis pigmentosa. Other side effects of thioridazine include ejaculatory inhibition. Although it also produces sedation, a side effect that can be of clinical value in treating agitated psychotic individuals, thioridazine causes fever extrapyramidal side effects than most other neuroleptics. Haloperidol is a widely used butyrophenone antipsychotic that can produce significant extrapyramidal side effects. However, because it is non-sedating and causes little autonomic disturbance, it is effective in low dosages in treating agitation in elderly persons. MAO inhibitors such as phenelzine are used to treat mood disorders. Persons on MAO inhibitor therapy must remain on a diet free of tyramine-containing foods (e.g., aged cheese) to avoid a potentially fatal hypertensive crisis, which can present as severe headache.Lithium carbonate is used in the treatment and prophylaxis of bipolar disorder. The dosage must be adjusted according to blood level. Side effects commonly associated with rising or mildly toxic blood levels include fine tremor of the hands, nausea, anorexia, and diarrhea. Ref: Meyer J.M. (2011). Chapter 16. Pharmacotherapy of Psychosis and Mania. In L.L. Brunton, B.A. Chabner, B.C. Knollmann (Eds), Goodman & Gilman's The Pharmacological Basis of Therapeutics, 12e.